False about HCG are all except :
1. Lipoprotein
2. Radioimmunoassay > 6 days of conception
3. Secreted by corpus luteum
4. Non specific a and specific b - subunit

Correct answer: 4. Non specific a and specific b - subunit

Explanation: Non specific a and specific b - subunit